Foramen Ovale in middle cranial fossa transmits
1. Spinal accessory nerve
2. Mandibular nerve
3. Middle meningeal artery
4. Maxillary artery

Correct answer: 2. Mandibular nerve

Explanation: (B) Mandibular nerve # Foramen ovale;> Mnemonic:> At the base of the skull, the foramen ovale (skull) is in the greater wing of the sphenoid bone in the middle cranial fossa and transmits the mandibular division of the trigeminal nerve, otic ganglion, accessory meningeal artery, lesser petrosal nerve and emissary veins.